Painless effusion in joints in congenital syphilis is known as:
1. Stiﬀer joints
2. Cluttons joints
3. Emphymic joint
4. None

Correct answer: 2. Cluttons joints

Explanation: Painless eﬀusion in joints is known as Cluttons joints.
Clutton's joints is a term describing the finding of symmetrical joint swelling seen in patients with congenital syphilis. It most commonly affects the knees, presenting with synovitis and joint effusions (collections of fluid within the joint capsules) lasting up to a year. It has also been reported affecting the ankles, elbows, wrists and fingers.